The range of level of fluoride secreted by the glands into the mouth is
1. 0.004-0.005 ppm
2. 0.006-0.007 ppm
3. 0.007-0.05 ppm
4. 0.007-0.08 ppm

Correct answer: 3. 0.007-0.05 ppm